True about tropical sprue are A/E:
1. Protein losing enteropathy
2. Steatorrhea
3. Stomatitis
4. Jejunal biopsy is specific

Correct answer: 4. Jejunal biopsy is specific

Explanation: An upper endoscopy with biopsy of the duodenum (beyond the duodenal bulb) or jejunum is performed. It is important for the physician to obtain multiple samples (4-8) from the duodenum. Not all areas may be equally affected; if biopsies are taken from healthy bowel tissue, the result would be a false negative. Findings : Scalloping of the small bowel folds Paucity in the folds A mosaic pattern to the mucosa (cracked mudappearance) Prominence of the submucosa blood vessels, and a nodular pattern to the mucosa. Tropical Sprue presents in adults as steatorrhea, diarrhea and vitamin deficiency -stomatitis